Screening test for cervical cancer is:
1. Biopsy
2. Papaniculaou smear
3. Visual inspection
4. Colposcopy

Correct answer: 2. Papaniculaou smear

Explanation: Ans. (b) Papaniculaou smearRef. Shaw's Gynae 15th ed./. 403* Pap smear is taken from cervix, with Arye spatula, rotated 360deg to pick up cells from squamo-columnar junction. Vaginal smear for hormonal evaluation is taken from lateral fornix* The objective of screening is to reduce the incidence and mortality from cervical cancer* Pap smear test has been effective reducing the incidence of cervical cancer by 80% and the mortality by 70%.* Please refer to above explanation also.